Maximal reduction in gastric acidity is achieved by:
1. Truncal vagotomy and pyloroplasty
2. Truncal vagotomy and antrectomy
3. Partial gastrectomy
4. Highly selective vagotomy

Correct answer: 2. Truncal vagotomy and antrectomy

Explanation: Truncal vagotomy and antrectomy is procedure of choice for recurrent duodenal ulcers with lowest recurrence rate.